Most common extra articular manifestation seen in Ankylosing spondylitis
1. Anterior uveitis
2. Keratitis
3. Amyloidosis
4. Upper lobe pulmonary fibrosis

Correct answer: 1. Anterior uveitis

Explanation: M/C extra articular manifestation - Acute anterior uveitis.